Unstable spine injury occurs in?
1. Compression injury
2. Flexion-rotation injury
3. Extensor injury
4. Flexion injury

Correct answer: 2. Flexion-rotation injury

Explanation: Mode of injuries in Lower Cervical Spine Fractures (C3 - C7)Mode of injuriesPattern of fractureVertical (Axial) compression Burst fracture (Vertebral height is decreased in toto)Pure flexion Wedge compression fracture (Decreased anterior height of vertebrae)Combined axial compression & flexion Tear drop fracture (Antero inferior fragment of vertebral body is sheared off)Distraction - Flexion /Flexion rotation (MC unstable spine injury)Unilateral or bilateral subluxation & dislocation Flexion sprains Jumped facetsFloating vertebra Avulsion injury of spinous process Clay shoveler's fracture Axial compression extension type Second most common type Distraction extension injury Disruption ofanterior ligamentous complex followed by posterior soft tissue complex (Refer: Rock wood and Green's Fractures in Adults, 7th edition, pg no: 1498,1413,1435,1485)